Most common charcot's joints involved in diabetes mellitus are those of -
1. Shoulder
2. Ankle
3. Knee
4. Foot

Correct answer: 4. Foot